MHC I is recognized by?
1. CD 4 T cells
2. CD 8 T cells
3. Dendritic cells
4. Macrophages

Correct answer: 2. CD 8 T cells

Explanation: Ans. (b) CD 8 T cellsRef: Jawetz 24/e, chapter 8